Epiglottitis in a 2-year-old child occurs most commonly due to infection with:
1. Influenza virus
2. Staphylococcus aureus
3. Haemophilus influenzae
4. Respiratory syncytial virus

Correct answer: 3. Haemophilus influenzae

Explanation: Though the introduction of Hib vaccine has reduced the annual incidence of acute epiglottitis but still most of the pediatric cases seen today are due to haemophilus influenzae B. --Harrison 17th/ed p212 In adults it can be caused by group A streptococcus, S. pneumoniae, S. aureus and Klebsiella pneumoniae